Which bacteria show lashing motility
1. Treponema
2. Borrelia
3. Mycoplasma
4. Giardia

Correct answer: 2. Borrelia

Explanation: Borrelia shows lashing motility due to endoflagella.